All are seen in Addison disease Except
1. Hyponatremia
2. Hyperkalemia
3. Hypotension
4. Metabolic alkalosis

Correct answer: 4. Metabolic alkalosis

Explanation: An "adrenal crisis" or "Addisonian crisis" is a constellation of symptoms that indicates severe adrenal insufficiency. This may be the result of either previously undiagnosed Addison's disease, a disease process suddenly affecting adrenal function (such as adrenal hemorrhage), or an intercurrent problem (e.g., infection, trauma) in someone known to have Addison's disease. It is a medical emergency and potentially life-threatening situation requiring immediate emergency treatment. Characteristic symptoms are: Sudden penetrating pain in the legs, lower back, or abdomen Severe vomiting and diarrhea, resulting in dehydration Low blood pressure Syncope (loss of consciousness and ability to stand) Hypoglycemia (reduced level of blood glucose) Confusion, psychosis, slurred speech Severe lethargy Hyponatremia (low sodium level in the blood) Hyperkalemia (elevated potassium level in the blood) Hypercalcemia (elevated calcium level in the blood) Convulsions Fever Ref Harrison20th edition pg 288